Consolidation of long term memory
1. Hypothalmus
2. Amygdala
3. Hippocampus
4. Thalamus

Correct answer: 3. Hippocampus

Explanation: C i.e. Hippocampus